Absolute indication for caesarean section is:
1. Previous LSCS
2. Type IV placenta previa
3. Fetal distress
4. Breech presentation

Correct answer: 2. Type IV placenta previa

Explanation: Ans. B i.e. Type IV placenta previa Caesarean section Indications of classical caesarean section Previous classical cesarean section Neglected shoulder with anhydramnios Structural abnormality making approach to lower segment difficult Constriction ring due to neglected labor Fibroids in lower segment Anterior placenta accreta and praevia Very preterm fetus, where lower segment is poorly formed.